All of following are examples of traction epiphysis except:-
1. Tubercles of humerus.
2. Posterior tubercle of talus.
3. Trochanters of femur.
4. None of above.

Correct answer: 2. Posterior tubercle of talus.

Explanation: Epiphysis is the part of bone which ossifies from the secondary centre. It may be of three basic types; 1) Pressure epiphysis:- it transmits the body weight and protects the epiphyseal cartilage. E.g. heads of femur and humerus, condyles of femur and tibia. 2) Traction epiphysis:- it is produced by the pull of some muscles. E.g. trochanters of femur and tubercles of humerus. 3) Atavistic epiphysis:- it is phylogenitically an independent bone and is attached secondarily on a host bone to receive nutrition. E.g. coracoids process of scapula and posterior tubercle of talus or os trigonum.